Politzer bag maneuver used to test:
1. Eustachian tube
2. Larynx
3. Esophagus
4. Nasal cavity

Correct answer: 1. Eustachian tube

Explanation: Politzer bag maneuver used to test Eustachian tube Designed for those who can`t perform Valsalva test Politzer bag is connected to rubber tube- Tube is placed in one nostril and other is closed-Air is blown with pressure by pressing the bulb-Air enters nasopharynx - opens eustachian tube & enters middle ear- pops out TM